Hormonal contraceptive of choice in a lactating woman is -
1. Combined pill
2. Multiphastic pill
3. Mini-pill
4. Centchroman

Correct answer: 3. Mini-pill

Explanation: Ans. is 'c' i.e., Mini-pill